Least common quadrant in cancer breast is
1. Upper outer
2. Lower outer
3. Sub areolar
4. Lower inner

Correct answer: 4. Lower inner

Explanation: Most malignant type of CA breast : Inflammatory breast cancer Best prognosis is seen in : Tubular MC site of CA breast : Upper outer quadrant (left breast >right) Least common site of CA breast lower inner quadrant MC site of metastasis is Bone (osteolytic deposits in lumbar vertebrae >Femur >Thoracic vertebrae >Rib > Skull Ref: Sabiston 20th edition Pgno :837